Most severe manifestation of alcohol withdrawl syndrome:
1. Wernicke's encephalopathy
2. Delirium tremens
3. Seizures
4. Aloholic hallucinosis

Correct answer: 2. Delirium tremens

Explanation: Ans. B: Delirium Tremens Delirium tremens (DT) is the most severe form of ethanol withdrawal manifested by altered mental status and sympathetic overdrive, which can progress to cardiovascular collapse. Delirium tremens is a medical emergency with a high mortality rate, making early recognition and treatment essential. Delirium tremens usually occurs 2-4 days after the last drink. It is differentiated from the less severe forms of withdrawal by altered sensorium and autonomic instability. Confusion, obtundation, and delirium are the hallmarks of delirium tremens. Other findings include severe agitation, hyperpyrexia, tachycardia, hypertension, and diaphoresis.